Best prognosis for carcinoma of pancreas is in the region of -
1. Head
2. Tail
3. Body
4. Periampullary

Correct answer: 4. Periampullary

Explanation: Periampullary Carcinoma
1. Adenocarcinoma of head of the pancreas (40-60%)
2. Adenocarcinoma of ampulla of vater (10-20%)
3. Distal bile duct adenocarcinoma (10%)
4. Duodenal adenocarcinoma (5-10%)

Patients with pancreas adenocarcinoma involving the body or tail of the gland are more likely to have weight loss and abdominal pain as their initial complaints.
These lesions can grow to a larger size before producing symptoms and are often diagnosed at a later stage with a poorer prognosis.
Most body and tail cancers have already metastasized to distant sites or extended locally to involve nodes, nerves, or major vessels by the time of diagnosis.
Best prognosis: Duodenal adenocarcinoma >Ampullary carcinoma >Distal Bile duct adenocarcinoma >Head of pancreas >Body and tail of Pancreas (DAD Head Body and Tail).